The most common second malignant in survivors of retinoblastoma is:
1. Thyroid cancer
2. Nasopharyngeal carcinoma
3. Optic glioma
4. Osteosarcoma

Correct answer: 4. Osteosarcoma

Explanation: D i.e. Osteosarcoma